Erb's point is at the junction of-
1. C5, 6
2. C6, 7
3. C7, 8
4. C8, T

Correct answer: 1. C5, 6

Explanation: Ans. is 'a' i.e., C5, 6 o The region of upper trunk (C5, C6) of the brachial plexus, where six nerves meet, is called Erb's point.Erb's Point